All require hospitalization except
1. 5% burns in children
2. 10% scalds in children
3. Electrocution
4. 15% deep burns in adults

Correct answer: 1. 5% burns in children